All are metabolic effects of growth hormone Except
1. Reduced ability of insulin to stimulate glucose uptake
2. Increased glucose uptake
3. Increased plasma glucose
4. Increased plasma free fatty acids

Correct answer: 2. Increased glucose uptake

Explanation: METABOLIC EFFECTS OF GROWTH HORMONEStimulation of gluconeogenesisReduced ability of insulin to stimulate glucose uptakeAdipocytes more responsive to lipolytic stimuliReduced glucose uptakeIncreased plasma glucoseIncreased plasma free fatty acidsReduced plasma ureaIncreased amino acid uptakeIncreased protein synthesisIncreased DNA, RNA synthesis